The feulgen reaction is used to test
1. mRNA
2. tRNA
3. DNA
4. rRNA

Correct answer: 3. DNA

Explanation: *Feulgen stain is a staining technique to detect DNA *In this procedure, the specimen is exposed to warm HCL which causes hydrolysis of DNA to produce aldehyde. Then Schiff reagent is added which reacts with aldehyde to impart red colour.